All of the following enzymes may contribute to generating free oxygen radicals within neutrophil for killing bacteria except
1. Superoxide dismutase
2. Fenton reaction
3. NADPH oxidase
4. Glutathione peroxidase

Correct answer: 4. Glutathione peroxidase

Explanation: Glutathione peroxidase is a free radical scavenger